Index of duration of malnutrition is –
1. Weight for height
2. Height for age
3. Weight for age
4. None

Correct answer: 2. Height for age